Enzyme replacement therapy is used for-
1. Gaucher's disease
2. Krabbe's disease
3. Metachromatic leukodystrophy
4. Tay Sach's disease

Correct answer: 1. Gaucher's disease

Explanation: Ans. is 'a' i.e., Gaucher's disease * Alglucerase (ceredase) is used in the treatment of Gaucher's disease.* Enzyme replacement therapy (ERT) is also available for Fabry's disease, Type I, Type II and Type VI Mucoploysaccharidosis, Pompe's disease and ADA deficiency